Retention in a composite restoration is mainly attained by
1. Chemical adhesion
2. Acid etching & Bonding
3. Inverted Truncated shape
4. Undercuts

Correct answer: 2. Acid etching & Bonding